Drug commonly used in the treatment of iridocyclitis is
1. Phenylephrine
2. Atropine
3. Darifenacin
4. Solifenacin

Correct answer: 2. Atropine

Explanation: Atropine is used in iridocyclitis to break adhesions in the uveal tract Ref: KDT 6th ed pg 116